SuIllin index -
1. Measures disability
2. Measures life years adjusted with disability
3. Measures life expectancy adjusted without disability or free of disability
4. Measures life expectancy

Correct answer: 3. Measures life expectancy adjusted without disability or free of disability

Explanation: Ans. is 'c' i.e., Measures life expectancy adjusted without disability or free of disability Sullivan's index is the expectation of life free of disability. o It is computed by subtracting from the life expectancy the probable duration of bed disability and inability to perform major activities. Sullivan's index = life expectancy -- Duration of bed disability & Inability to perform minor work